Rapid-speed autoclaves
1. require at least 30 minutes for sterilization.
2. require no antirust prctreatment.
3. destroy cloth products.
4. produce verifiable sterilization.

Correct answer: 4. produce verifiable sterilization.